All are true about bisphosphonates except :
1. Prevent reabsorption of bone by osteoclast
2. Structurally similar to pyrophosphate
3. Absorption increases with food
4. Can be safely given in liver disease

Correct answer: 3. Absorption increases with food

Explanation: Ans. C. Absorption increases with foodBisphosphonates(BPNs):BPNs are analogies of pyrophosphate; carbon atom replacing orygen in the P-O-P skeletonAll oral BNPs are poorly absorbed and produce gastric irritation as major side effect.They inhibits bone resorption and have recently attracted considerable attention because of their ability to prevent osteoporosis in addition to their usefulness in metabolic bone diseases and hypercalcemia.MOA: Localize to regions of bone resorption & exert their greatest effects on osteoclasts.Food reduces absorption even further, necessitating their administration on an empty stomach.Nearly half of the absorbed drug accumulates in bone; the remainder is excreted unchanged in the urine.Decreased renal function, esophageal motility disorders & peptic ulcer disease are the main contraindications.